Best material for below inguinal arterial graft is
1. Saphenous vein graft (upside -down)
2. PTFE
3. Dacron
4. Teflon

Correct answer: 1. Saphenous vein graft (upside -down)

Explanation: Best graft for below inguinal arterial graft is autologous long saphenous vein, if it's not available short saphenous can be used. If no vein is available PTFE(poly tetra fluoro ethylene) can be used. Reference Bailey and love, 27th edition, page no. 949